An average patient with maxillofacial trauma requires how much of daily sodium?
1. 100 mmol
2. 50-60 mmol
3. 10 mmol
4. 1000 mmol

Correct answer: 1. 100 mmol